In which of the following condition is tardy ulnar nerve palsy seen?
1. Malunited supra condylar fracture
2. Malunited lateral condylar fracture
3. Malunited medial condylar fracture
4. Fracture both bones of forearm

Correct answer: 2. Malunited lateral condylar fracture

Explanation: Tardy ulnar nerve palsy may develop after malunited fractures of the lateral humeral condyle in children, displaced fractures of the medial humeral epicondyle, dislocations of the elbow and contusions of the nerve. Tardy ulnar nerve palsy may also develop in patients who have a shallow ulnar groove on the posterior aspect of the medial humeral epicondyle. Complications associated with pediatric lateral condylar fracture include cubitus varus, cubitus valgus, fishtail deformity, and tardy ulnar nerve palsy.